Which of the following is a symptom of opioid withdrawal
1. vomiting
2. delirium
3. constipation
4. meiosis

Correct answer: 1. vomiting

Explanation: In opioid withdrawal ALL ORIFICES BLEED Lacrimation, vomiting, rhinorrhea, diarrhea, mydriasis, kicking the habit, muscle cramps, abdominal cramps, tachycardia, cold turkey Ref. kaplon and sadock, synopsis of psychiatry, 11 th edition, 660